Hemorrhagic cystitis is caused by:
1. Methotrexate
2. Melphalan
3. Cyclophosphamide
4. Busulfan

Correct answer: 3. Cyclophosphamide

Explanation: Ans. C: Cyclophosphamide The oxazaphosphorine-alkylating agents cyclophosphamide is chemotherapeutic drug that is useful in the treatment of lymphoma, leukemia, and certain solid tumors.It is inactive as such: prodeuces few acute effects and is not locally damaging.Transfromation into active metabolites (aldophosphamide, phosphoramide mustard) occurs in the liver. It is less damaging to the platelets, but alopecia and cystitis (due to another metabolite acrolein) are prominent. Congener of cyclophosphamide is Ifosfamide, whose dose limiting toxicity is hemorrhagic cystitis.To prevent it, mesna is routinely given with it. In rare cases, penicillins have been reported to cause hemorrhagic cystitis in certain patients. Case reports have implicated methicillin, carbenicillin, ticarcillin, piperacillin, and penicillin VK. Treatment with danazol, a semisynthetic anabolic steroid, has caused hemorrhagic cystitis in patients with hereditary angioedema. Other medications that have been implicated in the development of hemorrhagic cystitis in limited reports include temozolomide, bleomycin, tiaprofenic acid, allopurinol, methaqualone, methenamine mandelate, gentian violate, nonoxynol-9 suppositories inadvertently placed in the urethra, and intravesical acetic acid. Risperidone has been associated with hemorrhagic cystitis but is also used as treatment for hemorrhagic cystitis due to JK virus.